Pediatirc airway differ from adult -
1. Large tongue
2. Short epiglotitis
3. Narrowest part is glottis
4. Larynx in lower posittion

Correct answer: 1. Large tongue

Explanation: Ans. is 'a' i.e., Large tongue Airway : Pediatric Vs Adulto Obligate nasal breather o Large tongueo Larynx & trachea are funnel shapedo Larynx located higher (C4) Vs C6 in adulto Narrowest part is cricoid (glottis in adults)